What is Agoraphobia ?
1. Fear of heights
2. Fear of closed spaces
3. Fear of open space
4. Fear of dogs

Correct answer: 3. Fear of open space